Advantages of oral controlled release drug dilivery are all except?
1. Maintanence of optimum drug concentration
2. Increased duration of therapeutic effect
3. improved efficiency of treatment
4. Lower cost of production

Correct answer: 4. Lower cost of production

Explanation: Ans. is 'd' i.e., Lower cost of production